Bilateral parotid enlargement occurs in all, Except:
1. Sjogren's syndrome
2. SLE
3. Sarcoidosis
4. Chronic pancreatitis

Correct answer: 2. SLE

Explanation: Ans. is 'b' SLE (Ref. Harrison, 17/e p 2108, 2138, 2139 & 16/e, p 1991, 2021 (15/e, p 1949)).